A 44-year old male having a long history of cigarette smoking presented with gangrene of left foot. An amputation of the left foot was done. Representative sections from the specimen revealed presence of arterial thrombus with neutrophilic infiltrate in the arterial wall. The inflammation also extended into the neighboring veins and nerves. The most probable diagnosis is:
1. Takayasu arteries
2. Giant cell arteries
3. Thromboangiitis obliterans
4. Hypersensitivity angitis

Correct answer: 3. Thromboangiitis obliterans

Explanation: BUERGER'S DISEASE (Thromboangiitis obliterans) - Segmental inflammatory disease, affecting small and medium sized arteries in upper and lower extremities - Inflammatory process involves neighboring veins and nerves - Typically seen in young, male smokers (not females and non-smokers) - Thrombus contain micro abscess . - Characterized by triad of intermittent claudication, Raynaud's phenomenon , migrated superficial vein thrombophlebitis